Neurogenic shock in acute spinal injury is due to
1. Loss of sympathetic tone
2. Loss of parasympathetic tone
3. Increased heart rate
4. Vasovagal attack

Correct answer: 1. Loss of sympathetic tone

Explanation: Neurogenic shock presents with hypotension, anormal heart rate or bradycardia and warm peripheries.This is due to unopposed vagal tone resulting from cervical spinal cord injury at or above the level of sympathetic outflow (T1/T5). It should be treated with inotropic support,and care should be taken to avoid fluid overloadBailey and love 27e pg: 352